Which of the following is ideal in moderate hemorrhagic shock:
1. Dextrose
2. Ringer lactate
3. Blood
4. Dextran

Correct answer: 3. Blood

Explanation: Ans. C: Blood Features of moderate hemorrhagic shock: Lactic acidosis:++ Urine output: reduced Level of consciousness:Drowsy Respiratory rate: Increased Pulse rate: increased Blood pressure: Mild hypotension Management of hemorrhagic shock: The oxygen carrying capacity of the colloids and crystalloids is zero so if blood is lost, the ideal replacement is blood, although crystalloid can be given while awaiting blood products